Zoonotic diseases are all except:
1. Leptospirosis
2. Guniea worm
3. Rabies
4. Plague

Correct answer: 2. Guniea worm

Explanation: Ans: B (Guniea...) Dracunculiasis, also called guinea worm disease (CWD) : Humans are definitive host There is no animal reservoir"Medical Parasitology by Paniker 6th /214"Dracunculiasis, also called guinea worm disease (GWD), is an infection by the guinea worm. A person becomes infected when they drink water that contains water fleas infected with guinea worm larvae"ZOONOSIS: (INFECTION OF ANIMALS COMMUNICABLE TO MAN)Zoonosis is defined as an infection or infectious disease that is transmissabie under natural conditions from vertebrate animals to man Zoonotic disease may be due to infections with viruses, bacteria protozoa, helminths, fungi or arthropods.Zoonosis: 4 CategoriesDirect zoonosisCyclo-zoonosisMeta-zoonosis e.g arbovirus infectionSapro-zoonosisImportant Zoonosis:BacterialViralProtogoanHelminthicAnthrax Brucellosis fever (Soft tick)LeptospirosisTuberculosisPlagueCowpoxMonkey poxWestemequineencephalitisRoss river feverYellow fever (Mosquito) fapanense encephalitisLassa feverRabiesLeishmanisisToxoplasmosisTrypnosomiasisBabesiosisClonorchiasisFasciopsisEchisto- somiasisTaeniasisTrichinellosis